Organelle that plays a pivotal role in apoptosis:
1. Endoplasmic reticulum
2. Golgi complex
3. Mitochondria
4. Nucleus

Correct answer: 3. Mitochondria

Explanation: Mitochondrion must be recognized not only as an organelle with vital roles in intermediary metabolism and oxidative phosphorylation, but also as a central regulatory structure of apoptosis.